Cell cycle specific anticancer drugs that acts mainly in the M phase of the cycle is
1. Cisplatin
2. Etoposide
3. Methotrexate
4. Paclitaxel

Correct answer: 4. Paclitaxel

Explanation: Ref-KDT 6/830 Vinca alkaloids (vincristine, vinblastine and vinoerlbine ) and taxanes (pacilaxel and docetaxel) act in M-phase of cell cycle Vinca alkaloids inhibits the formation whereas taxenes inhibit the breakdown of mitotic spindle